Hasse's formula used in pregnancy to?
1. Estimate fetal age
2. Identify fetal blood group
3. Identify fetal sex
4. Identify fetal congenital malformations

Correct answer: 1. Estimate fetal age

Explanation: ANSWER: (A) Estimate fetal ageREF: Textbook of Forensic Medicine and Toxicology by Nagesh Kumar Rao - Page 321Hasse's formulaIf the crown heel length is known then the intrauterine age of fetus is calculated as:If CH length is up to 25 cm thenIU age = Square root of CH lengthIf the CH length is > 25 cm thenIU age = 1/5 of CH length